Which of the following is not a cardiovas-cular monitoring technique:
1. Transesophageal echocardio- graphy
2. Central venous pressure monitoring
3. Pulmonary artery catheterization
4. Capnography

Correct answer: 4. Capnography

Explanation: D i.e. Capnography Capnography is a respiratory monitoring system (not cardiovascular). It is the determination of end tidal CO2 (Et CO2) concentration to confirm adequate ventilation. Cardiovascular monitoring techniques are - ECG, Echocardiography, BP, CVP, pulmonary artery catheterization.